True statement about Limbic system\
1. Has five layers
2. It is not phylogenitically evolved in humans
3. Concerned with memory and the emotional aspects of behavior
4. Subcortical nuclei exclude the septum

Correct answer: 3. Concerned with memory and the emotional aspects of behavior

Explanation: (C) Concerned with memory and the emotional aspects of behavior # Limbic system is phylogenetically old cortical structures. The limbic system (or Paleomammalian brain) is a set of brain structures including the hippocampus, amygdala, anterior thalamic nuclei, septum, limbic cortex and fornix, which seemingly support a variety of functions including emotion, behavior, long term memory, and olfaction. The components of the limbic system located in the cerebral cortex generally have fewer layers than the classical 6-layered neocortex, and are usually classified as allocortex or archicortex.